Drug of choice for Zollinger-Ellison syndrome is:-
1. Cimetidine
2. Omeprazole
3. Misoprostol
4. Aluminium hydroxide

Correct answer: 2. Omeprazole

Explanation: Proton pump inhibitors are the drugs of choice for peptic ulcer disease (PUD) due to any etiology (even NSAID induced). These are also the agents of choice for gastroesophageal reflux disease (GERD) and Zollinger Ellison Syndrome (ZES). Zollinger Ellison syndrome: It is a Pancreatic or duodenal gastrinoma which leads to secretion of large amounts of gastric acid causing severe ulcers and hyperchlorhydria. PPI are better than H2 blockers in this condition.